Mode of inheritance of otosclerosis is
1. Autosomal Recessive
2. X linked Recessive
3. Autosomal Dominant
4. Y linked

Correct answer: 3. Autosomal Dominant

Explanation: There is a marked hereditary tendency to otosclerosis in certain families, and in nearly 50 percent of cases, a positive family history can be obtained. The pattern of inheritance is autosomal dominant with incomplete penetrance.Ref: PL Dhingra, Diseases of Ear, Nose & Throat, 7th edition, pg no. 95 - 98